A 6-year-old boy develops symptoms of cough, fever, and malaise followed by a generalized maculopapular rash that has spread from the head downwards. A clinical diagnosis of measles is made. A few days after the onset of the rash he is drowsy, lethargic, and complaining of headache. A lumbar puncture, electroencephalogram (EEG), and computerized tomography (CT) of the brain exclude other etiologies and confirm the diagnosis of encephalitis. Which of the following is the most likely delayed neurologic complication of measles virus encephalitis?
1. meningitis
2. pure motor paralysis
3. autonomic neuropathy
4. intellectual disability or epilepsy

Correct answer: 4. intellectual disability or epilepsy

Explanation: Subacute sclerosing panencephalitis causes involuntary spasmodic movements and progressive mental deterioration, frequently ending in death within a year. It usually occurs in children whose measles occurred at an early age (= 2 years). It occurs 6-8 years after the primary infection. It presents with nonspecific symptoms such as poor school performance or mood and personality changes. It then progresses to intellectual decline, seizures, myoclonus, ataxia, and visual disturbances. Continued deterioration results in inevitable death.